Cephalosporin that does not require dose reduction in a patient with any degree of renal impairment is :
1. Cefuroxime
2. Cefoperazone
3. Ceftazidime
4. Cefotaxime

Correct answer: 2. Cefoperazone

Explanation: Ceftriaxone and cefoperazone are excreted mainly in the bile, therefore do not require dose reduction in any grade of renal failure.